Biotin is required for which enzyme?
1. Acetyl CoA carboxylase
2. Propionyl CoA carboxylase
3. Methyl crotonyl CoA carboxylase
4. All of the above

Correct answer: 4. All of the above

Explanation: (D) All of the above. # Biotin is a cofactor responsible for C02 transfer in several carboxylase enzymes1. Acetyl CoA carboxylase alpha2. Acetyl CoA carboxylase beta3. Methyl clotonyl CoA carboxylase4. Propionyl CoA carboxylase5. Pyruvate carboxylase and so is important in fatty acid synthesis, branched chain aa catabolism and gluconeogenesis.